Materials used for injection thyroplasty are
1. Collagen
2. Acellular micronized human dermis
3. Gelatin powder
4. All the above

Correct answer: 4. All the above

Explanation: Injection of vocal cord with Teflon paste or gelfoam to augment and medialize the paralyzed cord so that the opposite healthy cord can easily approximate Ref: PL Dhingra Textbook of Ear, Nose and Throat, Edition 6, page - 301